Arterial O2 content is reduced in one of the following
1. Stagnant hypoxia
2. Anemic hypoxia
3. Histotoxic hypoxia
4. Ischemic hypoxia

Correct answer: 2. Anemic hypoxia

Explanation: Ans. (b) Anemic hypoxia(Ref: Ganong, 25th ed/p.646)Characterized by reduction in hemoglobin concentration and decline in the O2 -carrying capacity of the blood (reduced arterial O2 content)Anemic hypoxia is seen in Carbon monoxide poisoning and methemoglobinemia